Which of the following has no role in the diagnosis of childhood TB?
1. ELISA
2. Mantoux
3. CXR
4. FNAC

Correct answer: 1. ELISA

Explanation: Lab investigations of pediatric TB

ESR and blood count: No value in diagnosis or follow up of TB.
Demonstration of AFB: Children don't expectorate out sputum, but swallow it. Therefore sputum is not available for examination. A laryngeal swab may be obtained for smear and culture examination for mycobacteria. It is customary to examine the gastric lavage in children for bacteriological examination on 3 consecutive days. Aspiration of early morning gastric contents (before breakfast) is done with a Ryle's tube and sent for bacteriological examination. Adding vancomycin to the sample improves the yield of mycobacterium. The CSF, Pleural fluid or bronchial aspirate, urine and discharges from tuberculosis sinuses are examined for tubercle bacilli.
Histopathology: Material for histopathology may be obtained by biopsy or FNAC.
PCR: High sensitivity and specificity for pleural fluid and low for gastric aspirate.
CXR and CT may show characteristic features.
USG may be helpful for the detection of enlarged abdominal lymph nodes.
Serology: Elisa or other methods have no utility in pediatric TB.